In irreversible pulpitis, pain in which of the following sites is most likely to radiate to the ear?
1. Maxillary premolar
2. Maxillary molar
3. Mandibular premolar
4. Mandibular molar

Correct answer: 4. Mandibular molar

Explanation: Mandibular molar. The perception of pain in one part of the body that is distant from the actual source of the pain is known as referred pain. Teeth may refer pain to other areas of the head and neck. Referred pain is usually provoked by stimulation of pulpal C-fibers, the slow conducting nerves that, when stimulated, cause an intense, dull, slow pain. It always radiates to the ipsilateral side. Posterior teeth may refer pain to the opposite arch or periauricular area. Mandibular posterior teeth tend to transmit referred pain to the periauricular area more often than do the maxillary posterior teeth.